The degree to which a specific health care intervention achieves its objectives, when applied in a given population, is termed as its -
1. Sensitivity
2. Effectiveness
3. Efficiency
4. Impact

Correct answer: 2. Effectiveness

Explanation: Ans. is 'b' i.e., Effectiveness